Hanging curtain sign is seen in -
1. PItyriasis alba
2. Pityriasis versicolor
3. Pityriasis miliaris
4. Pityriasis rosea

Correct answer: 4. Pityriasis rosea

Explanation: pityriasis rosea common self-limiting papulosquamous eruption typically lasting 5-8 weeks. caused due to viral exanthem-HHV6/HHV7 Classical lesions: HERALD patch- 3-5 cm initial oval plaque with colerette of fine scale just inside periphery secondary eruption: long axis of lesions along the lines of cleavage- christmas tree appearence. hanging curtain sign: when the individual lesions stretched across the long axis the scales tend to fold across the lines of stretch. rx- reassurance , self limiting in 5-8 weeks, acyclovir or erythromycin useful in early stages. fitzpatrick textbook of dermatology, page 519